A 55-year-old female patient presents with duodenal ulcer. The most sensitive test to detect Helicobacter pylori is
1. Urea breath test
2. culture
3. Histology
4. Serology

Correct answer: 1. Urea breath test

Explanation: Urea breath test is the most sensitive test for diagnosis of Helicobacter pylori infection. Urea breath test: The patient drinks a solution of urea labeled with a radioactive Carbon-14 and then blows into a tube. If H. pylori urease is present, the urea is hydrolyzed, and labeled carbon dioxide is detected in breath samples. Reference: Ananthanarayan and Paniker's Textbook of Microbiology Tenth edition